Hoarseness of voice occurs early in -
1. Glottic Ca
2. Subglottic Ca
3. Supraglottic
4. None

Correct answer: 1. Glottic Ca